Which of the following is not included in the
Glassgow coma scale
1. Eye opening
2. Motor response
3. Verbal response
4. Pupil size

Correct answer: 4. Pupil size